Partial mole is?
1. Haploid
2. Diploid
3. Triplod
4. Polyploid

Correct answer: 3. Triplod

Explanation: Ans. (c) TriplodRef: Danforths obstetrics and Gynecology 10th ed p10374, Dutta 6thed p-200